True about esmolol is: a) It is a cardioselective β–blocker b) It increases airway resistance c) It causes tachycardia d) Its t 1/2 is 4 hrs e) It has negative inotropic activity
1. de
2. cd
3. ae
4. bc

Correct answer: 3. ae

Explanation: Esmolol is an ultrashort acting β-blocker (t1/2 < 10 min.)
It is inactivated by esterases in blood.
β-blocker decreases heart rate and force of contraction (negative inotropic action).
Beta blockers can precipitate or aggravate CHF.
Selective beta 1 blocker and are less likely to cause bronchoconstriction, thus do not increase airway resistance.